What is the ideal time for starting post-exposure prophylaxis with acyclovir in a person exposed to varicella?
1. Immediately after exposure
2. 3rd day
3. 7-9 th day
4. 10-14 th day

Correct answer: 3. 7-9 th day

Explanation: Antiviral therapy for prophylaxis against varicella should be started 7 days after the intense exposure, using acyclovir. Ref: Harrisons Principles of Internal Medicine, 18th edition, Page: 1466